Elschnig's pearls are a sign of:
1. Chronic uveitis
2. Secondary cataract
3. Cystoid macular oedema
4. All of the above

Correct answer: 2. Secondary cataract

Explanation: Ans. Secondary cataract